Sperm get nutrition from:
1. Fructose
2. Glucose
3. Sucrose
4. Amylase

Correct answer: 1. Fructose

Explanation: Seminal vessels secrete a mucoid material containing abundance of fructose, citric acid and other nutrient substance. This adds to the bulk of semen & fructose in the seminal fluid is of nutrient value to the sperm GLUT- 5: fructose transport.